Most important determinant in Fallot's tetralogy is
1. RVH
2. Sub-pulmonic stenosis
3. Pan systolic murmur
4. Enlargement of heart

Correct answer: 2. Sub-pulmonic stenosis

Explanation: The more severe pulmonary stenosis the shorter the ejection systolic murmur and more the stenosis.Thus the severity of stenosis is directly proportional to severity of pulmonary stenosis ,but the intensity of the systolic murmur is inversely related to the severity of the pulmonary stenosis. Ref : page 420 Ghai pediatrics eighth edition